b -blockers are used in -
1. Portal hypertension
2. Alcohol withdrawl
3. Anxiety
4. All

Correct answer: 4. All

Explanation: Ans. is 'a' i.e., Portal hypertension; 'b' i.e., Alcohol withdrawl; 'c' i.e., Anxiety USES OF bBLOCKERS I. Hypertension --> b -blockade reduces renin secretion and cardiac output. Cardiac tachyarrhythmias --> b -blockade reduces sympathetic tone to heart (cardiac pacemaker). Myocardial infarction --> b -blockers decrease cardiac work and oxygen consumption. b -blockers reduce mortality in MI patient (other drugs which reduce mortality in MI are aspirin and thrombolytics, e.g. streptokinase). Classical angina pectoris --> b -blockes reduce cardiac work and oxygen consumption. CHF --> Overactivity of cardiac b -receptors in CHF accelerate myocyte apoptosis and promotes functionally remodeling. b -blockers decrease disease progression and mortality. A cardioselective ft-blocker or nonselective b -blocker with additional a-blocking property should be used. Carvediolol is the most commonly used beta blocker, followed by metoprolol and bisoprolol. Dissecting aneurism -3 b -blockers reduce force and speed of systolic ejection (prevent progression of dissection) and also lower the BP. HOCM In HOCM increase ventricular contractility under sympathetic stimulation increases outflow resistance. b -blockers improve cardiac output during exercise by reducing outflow obustruction. Glaucoma --> b -blockade decreases secretory activity of ciliary epithelium. Thyrotoxicosis --> b -blockers rapidly control sympathetic symptoms (palpitation, nervousness, tremor). Propranolol also inhibits peripheral conversion of T4 to T3. Pheochromocytoma b -blockers can be given to control tachycardia only after starting a-blockers. CNS uses --> Anxiety, essential tremor, migraine prophylaxis, alcohol withdrawal. Emergency management of symptoms of TOF. Prophylaxis of bleeding in portal hypertension.